1722. A patient presents with macroglossia and atrophy of tongue papilla. His Hb Is 11.5 and MCV is 100. What should be the next step in Investigating this patient ?
1. B12 estimation
2. Brush biopsy of the lesion
3. Fluconazole treatment
4. Incision biopsy

Correct answer: 1. B12 estimation

Explanation: Deficiency of vit B12 & folate presents with anemia(macrocytic megaloblastic anemia), glossitis(smooth,beefy,red tongue).Hb level will be below normal range & MCV wil be elevated.So this is a case of vit B 12 deficiency & next choice of investigation is serum Vit B12 assay.

Harsh mohan textbook of pathology sixth edition pg no 306